In normal delivery, breast feeding should be started?
1. 6 hour after delivary
2. 2 hour after delivary
3. 4 hour after delivary
4. None

Correct answer: 4. None

Explanation: Ans is d None oRT Breast feeding should be initiated within 30 min. of a normal vaginal delivery. oRT Breast feeding should be initiated within 4 hrs of delivery by caesarian section.